Constriction of the afferent arteriole to the kidney glomerulus results in:
1. Reduction of glomerular filtration rate and decreased urinary output
2. Increased urine output
3. Increased glomerular filtration rate and no change in urine output.
4. Decreased urine output

Correct answer: 1. Reduction of glomerular filtration rate and decreased urinary output

Explanation: The kidney is innervated primarily by the sympathetic nervous system, and as such, regulates the contraction of the smooth muscle surrounding the afferent and efferent arterioles of the glomerulus. Sympathetic stimulation to the efferent glomerular arterioles causes their constriction and increases the filtration rate, leading to an increase in urinary output. Similarly, with the loss of sympathetic innervation, such as due to sympathectomy of the kidney, relaxation of tone of the afferent arteriole occurs and the filtration rate increases, which results in an increased urine output. Decreased urine output may result from the constriction of the afferent arterioles, leading to a decrease in glomerular filtration rate. Also Know: Factors affecting the GFR: Changes in renal blood flow Changes in glomerular capillary hydrostatic pressure Changes in systemic blood pressure Afferent or efferent arteriolar constriction Changes in hydrostatic pressure in Bowman's capsule Ureteral obstruction Edema of kidney inside tight renal capsule Changes in concentration of plasma proteins: dehydration, hypoproteinemia, etc (minor factors) Changes in Kf Changes in glomerular capillary permeability Changes in effective filtration surface area Ref: Barrett K.E., Barman S.M., Boitano S., Brooks H.L. (2012). Chapter 37. Renal Function & Micturition. In K.E. Barrett, S.M. Barman, S. Boitano, H.L. Brooks (Eds), Ganong's Review of Medical Physiology, 24e.